Major adrenocortical hormone in blood is:
1. Cortisol
2. Corticosterone
3. Aldosterone
4. Deoxy corticosterone

Correct answer: 1. Cortisol

Explanation: Ans: A (Cortisol) Ref: Guyton & Hall, Synthesis and Secretion of Adrenocortical Hormones, In: Textbook of Medical Physiology, 12th ed, Philadelphia, Saunders. Elsevier 2012, p 924Explanation: (See table below)